All are inotropic agents, except-
1. Isoprenaline
2. Amiodarone
3. Dopamine
4. Amrinone

Correct answer: 2. Amiodarone

Explanation: Ans. is 'b' i.e., Amiodarone oRT Inotropic drugs increase the contractility of hearto Various inotropic drugs arei) Isoprenaline iii) Adrenaline v) Milirinone vii) Dobutamineii)Dopamine iv) Amrinone vi) Digitalis viii) Levosimendon